Functional technique of relining and rebasing utilizes
1. Functional wax
2. Tissue conditioner
3. ZOE
4. Alginate

Correct answer: 2. Tissue conditioner